Researches decided to study the impact of iodized salt programme especially in hilly areas of Pakistan. They had chosen the most sensitive indicator for monitoring environmental iodine deficiency which was
1. Prevalence of goiter
2. Prevalence of neonatal hypothyroidism
3. Prevalence of myxedema
4. Urinary iodine excretion

Correct answer: 2. Prevalence of neonatal hypothyroidism